A vitreous aspirate from a case of metastatic endophthalmitis on culture yields Gram-positive round to oval cells, 12-14 mm in size. The aspirate on Gram staining shows the presence of pseudohyphae. Which of the following is the most likely aetiological agent?
1. Aspergillus
2. Rhizopus
3. Candida
4. Fusarium

Correct answer: 3. Candida

Explanation: In smears of exudates Candida appears as gram positive oval cells and pseudohyphae. Aspergillus, Rhizopus andfusarium are filamentous fungi forming true mycelia (and not pseudohyphae). Ref: Textbook of Microbiology By Ananthanarayan and Panicker, 7th Edition, Pages 610, 624-25; Jawetz, Melnick and Adelberg's Medical Microbiology, 23rd Edition, Pages 625, 645, 649